"Risk ratio" is utilized to calculate :-
1. Relative risk
2. Attributable risk
3. Population attributable risk
4. Odds ratio

Correct answer: 1. Relative risk

Explanation: - Risk ratio is the ratio of incidence of disease in exposed to incidence of disease in non-exposed. - It is utilized to calculate relative risk. EXTRA EDGE: - R.R. = Ie / Inert - A.R. = x 100 - P.A.R. = x 100